Latest (most recent) oral direct thrombin inhibitor is -
1. Ximelagatran
2. Indraparinux
3. Dabigatran
4. Fondaparinux

Correct answer: 3. Dabigatran

Explanation: Ans is 'c' i.e. Dabigatran oRT Ximelagatran was the first oral direct thrombin inhibitor approved; however, it was subsequently withdrawn from the market because of reports of liver failure. oRT Recently a new oral direct inhibitor, dabigatran, was approved for use in Europe for prevention of various thromboembolism in patients who have undergone hip or knee replacement surgery.